One village health guide is for population of ?
1. 1000
2. 5000
3. 10000
4. 50000

Correct answer: 1. 1000

Explanation: Ans. is 'a' i.e., 1000